All of the following organisms are known to survive intracellularly, EXCEPT:
1. Neisseria meningitides
2. Salmonella typhi
3. Streptococcus pyogenes
4. Legionella pneumophila

Correct answer: 3. Streptococcus pyogenes

Explanation: Streptococcus pyogenes is a gram-positive cocci in chains. It is beta hemolytic, catalase-negative and bacitracin sensitive. It does not survive intracellularly. It is subdivided into groups based on the differences in the antigenicity of their cell wall carbohydrate. It is transmitted respiratory droplets. It can result in suppurative diseases such as pharyngitis and cellulitis, nonsuppurative diseases such as rheumatic fever and acute glomerulonephritis. Ref: Review of Medical Microbiology and Immunology By Warren Levinson, 11th Edition, Part IX; Sherris Medical Microbiology, 5th Edition, Chapter 30; Principles and Practice of Clinical Bacteriology By Stephen H. Gillespi, 2nd Edition, Page 368; Microbial Ecology and Infectious Disease By Eugene Rosenberg, Page 170